Which of the following anti-arrhythmic drugs is useful in AV block resulting from digoxin overdose?
1. Adrenaline
2. Noradrenaline
3. Atropine
4. Adenosine

Correct answer: 3. Atropine

Explanation: Treatment of digoxin toxicity: Mild digitalis toxicity Decreased with K+ (It decreases binding of the drug to Na+K+ATPase) but in severe digitalis toxicity, K+ is C/I Ventricular arrhythmias Lignocaine Atrial tachyarrhythmia b blockers Bradyarrhythmias and AV block Atropine Very severe toxicity Digibind